Which of the following is false about fibroadenoma?
1. Benign
2. Painless
3. Occurs in young females
4. Not capsulated

Correct answer: 4. Not capsulated

Explanation: Fibroadenomas are benign tumors usually seen in young females.
These are encapsulated and move freely within breast so they are called mouse in the breast.